The cause of larva currens:
1. Strongyloides stercoralis
2. Necator americanus
3. Ankylostoma duodenale
4. H. nana

Correct answer: 1. Strongyloides stercoralis

Explanation: Ans. is 'a' i.e., Strongyloides stercoralis(Ref: Harrison, 19th/e, p.1415)* The migrating filariform larva of Strongyloides moves rapidly in a short line at the rate of 3-4 cm in an hour, hence it is termed "larva currens".